Which of the following malignant salivary gland tumours has a tendency for perineural invasion?
1. Mucoepidermoid carcinoma
2. Adenoid cystic carcinoma
3. Adenocarcinoma
4. Acinous cell carcinoma

Correct answer: 2. Adenoid cystic carcinoma

Explanation: Adenoid cystic carcinoma has a propensity to spread by perineural invasion. Depending on site most common nerves involved are maxillary and mandibular division of trigeminal.